A patient brought to the emergency room after a road traffic accident shows cyanosis. Which of the following is TRUE regarding in this patient?
1. Cyanosis is a early s/o hypoxia
2. Cyanosis is a late s/o hypoxia
3. Absence of cyanosis indicates adequate airway
4. Absence of cyanosis indicates adequate tissue perfusion

Correct answer: 2. Cyanosis is a late s/o hypoxia

Explanation: Cyanosis becomes apparent when the concentration of reduced hemoglobin in capillary blood exceeds 40 g/L (4 g/dL). Cyanosis is an extremely late sign of hypoxemia and may not occur at all if there has been extensive blood loss. Indeed, a patient has to have 5 grams of deoxygenated hemoglobin per 100 cc of blood for cyanosis to occur. Ref: Loscalzo J. (2012). Chapter 35. Hypoxia and Cyanosis. In D.L. Longo, A.S. Fauci, D.L. Kasper, S.L. Hauser, J.L. Jameson, J. Loscalzo (Eds), Harrison's Principles of Internal Medicine, 18e.